Vitamin with antioxidant property:
1. Vitamin E
2. Vitamin D
3. Vitamin B7
4. Vitamin B9

Correct answer: 1. Vitamin E

Explanation: Ans. (a) Vitamin ERef: Harrison's 19th ed. P* Harrison's states: "Vitamin E acts as a chain-breaking antioxidant and is an efficient pyroxyl radical scavenger that protects low-density lipoproteins and polyunsaturated fats in membranes from oxidation"* Vitamin E also inhibits prostaglandin synthesis and the activities of protein kinase C and phospholipase A2.* RDA of Vitamine E: 15mg/day (22.5 IU)